Peripheral neuropathy is caused by all except
1. Isoniazid
2. Digitalis
3. Amiodarone
4. Tolbutamide

Correct answer: 2. Digitalis

Explanation: Ans. is 'b' i.e., Digitalis